Main arterial supply if the tongue is:
1. Ascending pharyngeal artery.
2. Lingual artery.
3. Ascending palatine artery.
4. Facial artery.

Correct answer: 2. Lingual artery.